Lung volume reduction surgery is used in the management of
1. Bronchial asthma
2. Interstitial lung disease
3. Chronic bronchitis
4. Emphysema

Correct answer: 4. Emphysema

Explanation: Lung volume reduction surgery (LVRS) reduce volume of lung in emphysema. Patients with upper lobe-predominant emphysema and a low post-rehabilitation exercise capacity are most likely to benefit from LVRS. Patients are excluded if they have significant pleural disease, a pulmonary artery systolic pressure >45 mmHg, extreme deconditioning, congestive heart failure, or other severe comorbid conditions. Patients with an FEV1 <20% of predicted and either diffusely distributed emphysema on CT scan or diffusing capacity of lung for carbon monoxide (DlCO) <20% of predicted have an increased mortality rate after the procedure and thus are not candidates for LVRS.Ref: Harrison 19e pg: 1706